What is Relminidine?
1. Alpha 2 agonist
2. Alpha 1 agonist
3. Beta 1 agonist
4. Beta 2 agonist

Correct answer: 1. Alpha 2 agonist

Explanation: Moxonidine and relminidine are alpha 2 central agonists.